Stepwise mutation for drug resistance is seen with:
1. Penicillin
2. Streptomycin
3. Garamycin
4. Kanamycin

Correct answer: 1. Penicillin